Body dysmorphic disorder can be associated with all except
1. Bulimia nervosa
2. Mania
3. OCD
4. Anxiety

Correct answer: 2. Mania

Explanation: BDD (Body dysmorphic disorder) is a body-image disorder characterized by persistent and intrusive preoccupations with an imagined or slight defect in one's appearance. People with BDD can dislike any part of their body, although they often find fault with their hair, skin, nose, chest, or abdomen. People with BDD commonly also suffer from anxiety disorders such as social anxiety disorder, as well as other disorders such as depression, eating disorders, or obsessive-compulsive disorder (OCD).